Transport of two substances across the cell membrane in the same direction is known as?
1. Symport
2. Antiport
3. Exocytosis
4. Pinocytosis

Correct answer: 1. Symport

Explanation: When a carrier protein transports two or more substances in the same direction, it constitutes a symport e.g. Na- glucose symport. When a carrier protein transports two substances in opposite direction, it is known as antiport. e.g.Na+-H+ antiport in proximal convoluted tubules in the kidney or Na+-K+ ATPase pump. Exocytosis is a type of vesicular transport. Vesicles with contents are transported to the cell membrane. Then they fuse with the cell membrane with the discharge of their contents outside the cell. Pinocytosis is basically endocytosis and the ingested material is liquid. In endocytosis, the sequence of events proceeds in almost the opposite direction of exocytosis. Ref: Principles of Physiology By D. Pramanik, 2007, Page 23; Guyton's physiology 22nd edition, Page 54- 55, Ganong's physiology, 22nd chapter